Initial treatment of buphthalmos is ?
1. Laser trabeculolasty
2. Goniotomy
3. Topical pilocarpine
4. Carbonic anhydrase inhibitors

Correct answer: 2. Goniotomy

Explanation: Ans. is 'b' i.e., Goniotomy Treatment of congenital glaucoma Unlike adult glaucoma. the initial treatment for congenital glaucoma is often surgical. A drainage angle surgery is often recommended for congenital glaucoma. Surgical procedures used are :- Goniotomy Trabeculotomy -+ can be performed with corneal clouding Trabeculcctomy Combined trabeculotomy and trabeculectomy Medications are not very effective. However, IOP is lowered by use of hyperosmotic agents, acetazolamide and beta- blockers till surgery is taken up. Miotics are of no use.